Which of the following has the maximum ionization potential
1. Electron
2. Helium ion
3. Proton
4. Gamma photon

Correct answer: 2. Helium ion

Explanation: (Ref: Farr's physics for medical imaging 2e,23 )